Sudden and irresistible force compelling a person to commit an offence consciously is known as:
1. Illusion
2. Obsession
3. Twilight state
4. Impulsiveness

Correct answer: 4. Impulsiveness

Explanation: Impulse: This is a sudden and irresistible force compelling a person to the conscious performance of some action without motive or fore-thought. A sane person is capable of controlling an impulse, but an insane person may do things on impulse. Types of Impulse: Kleptomania -An irresistible desire to steal articles of little value. Pyromania- an irresistible desire to set things to fire. Mutilomania- An irresistible desire to mutilate animals. Dipsomania- an irresistible desire for alcoholic drinks at periodic intervals. Sexual impulses- including sexual perversions. Suicidal and homicidal impulses. Twilight state is seen in visual hallucinations, Epilepsy, Head injury, Hysteria, Punch-drunkenness.)